A 50-years-old male Raju, presents with occasional dysphagia for solids, regurgitation of food and foul smelling breath. Probable diagnosis is:
1. Achalasia cardia
2. Zenker's diverticulum
3. CA esophagus
4. Diabetic gastroparesis

Correct answer: 2. Zenker's diverticulum

Explanation: Clinical feature Usually seen in patients over 50 years MC symptom is dysphagia Undigested food is regurgitated into the mouth, especially when the patient is in the recumbent position Swelling of the neck, gurgling noise after eating, halitosis, and a sour metallic taste in the mouth are common symptoms Cervical webs are seen associated in 50% of patients with Zenker's diverticula, can cause dysphagia post-operatively if not treated.